All of the following are true about varicose veins except:
1. MC symptom: Dull aching pain in the veins at the end of the day, after prolonged standing
2. Duplex ultrasound: Investigation of choice for diagnosis of varicose veins
3. Bisgard's Regime is used for venous ulcer .
4. Trendelenberg operation is gold standard treatment for varicose vein

Correct answer: 4. Trendelenberg operation is gold standard treatment for varicose vein

Explanation: MC symptom: Dull aching pain in the veins at the end of the day, after prolonged standing Duplex ultrasound: Investigation of choice for diagnosis of varicose veins Bisgaard's Regime is Limb elevation + Compression stockings + Massage for varicose ulcers Endothermal Ablation(EVLA and RFA) is gold standard treatment for varicose veins .